All the following criteria contribute to a successful direct
pulp capping procedure except:
1. Haemorrhage from the exposure site is easily controlled
2. The exposure site is small, less than 0.5mm in diameter
3. Exposure site is the consequence of infected dentin extending into the pulp
4. Exposure occurred in a clean uncontaminated field

Correct answer: 3. Exposure site is the consequence of infected dentin extending into the pulp